Which of the following statements is false about anatomy of skin?
1. Dermal collagen 1 and 3 are in a ratio of 8:1 in dermis
2. Skin weighs about 15 % of body weight
3. Epidermis is derived from ectoderm and dermis from mesoderm
4. 90% of cells in the epidermis are keratinocytes

Correct answer: 1. Dermal collagen 1 and 3 are in a ratio of 8:1 in dermis

Explanation: Anatomy of skin - * Skin - largest organ of body* Weighs around 15-16%TBW* Epidermis derived from Ectoderm* Dermis derived from Mesoderm Cells in epidermis Derived from Keratinocytes [?]85-90% Ectoderm Melanocytes Neural crest Langerhans cells Bone marrow(mesoderm) Merkel cell Ectoderm>Neural crest Most abundant fibers in dermis are collagen fibers Most commonly seen are collagen type 1 & 3. Type 1- most abundant Dermal collagen type 1: type 3 = 4:1